What is Wolfs Graft?
1. Full thickness skin graft
2. Partial thicknees skin graft
3. Rotational flap
4. Vascularised fibular graft

Correct answer: 1. Full thickness skin graft

Explanation: Ans. is 'a' i.e., Full thickness skin graft o Full thickness (Wolfes graft) - It includes all epidermis and dermiso Partial thickness (Thiersch graft) - It includes all epidermis and part of dermisPartial thickness graftFull thickness grafto Partial thickness grafts are thin therefore uptake of graft is easy (easy survival)o Large grafts could be taken as the donor site has been left with a part of dermis which will cause easy regeneration of epidermiso Split thickness graft will contract upto 40% thus not useful for cosmetic surgerieso The donor site will heal well without any contraction, and is reusable.o Uptake is difficult because of thickness.(less chances of survival)o Small grafts could be taken as the donor site does not have epidermal or dermal remnants to allow epithelialization as in a paritial thickness grafto There is very minimal contraction making it suitable for cosmetic surgeries on faceo The donor site will have to be closed primarily or left open to granulate and contract.